Which of the following is capsulated fungus
1. Histoplasma capsulatum
2. Cladophialophora
3. Cryptococcus
4. Alternaria

Correct answer: 3. Cryptococcus

Explanation: Cryptococcus is a capsulated fungus.